Esthiomine is seen in-
1. Chancroid
2. Syphilis
3. LGV
4. Gonorrhoea

Correct answer: 3. LGV

Explanation: C i.e. LGV